Removal of senescent RBC from circulation by spleen is called -
1. Culling
2. Pitting
3. Filtering
4. Phagocytosis

Correct answer: 1. Culling